Regarding pectus excavatum all are true except -
1. Gross CVS dysfunction
2. Decrease in lung capacity
3. Cosmetic deformity
4. Depression in chest

Correct answer: 1. Gross CVS dysfunction

Explanation: Pectus Excavatum

Also called funnel chest' is the most common chest wall deformity.
Males are affected more than females (4:1).
Pectus excavatum arises from imbalanced or excessive growth of the lower costal cartilages.
Typically the defect is diagnosed within the first yr of life and worsens over time.
Depression may range from mildly depressed sternum to sternal depression abutting' the vertebral column with displacements of mediastinal structures.
Other conditions associated with Pectus Excavatum:
Scoliosis
Marfan's syndrome
Mitral valve prolapse
Congenital heart diseases
Asthma
Majority of patients are asymptomatic. Some subjects report a decrease in respiratory reserve and pain along the coastal cartilages with exercise.
Pulmonary function testing may show a restrictive pattern of pulmonary abnormality.
CVS dysfunction is very rare and mild if ever seen.
The main indication for t/t is cosmetic.
The surgical correction of a pectus excavatum is not done before the age of 5 years because a severe, postoperative restrictive chest wall deformity may result.

Also, Remember

Pectus carinatum (also k/a pigeon chest) is a chest defect characterized by an anterior protrusion deformity of the sternum & costal cartilages.